All are seen in acute Iridocyclitis except –
1. Pain
2. Ciliary congestion
3. Mucopurulent discharge
4. Small pupil

Correct answer: 3. Mucopurulent discharge

Explanation: Pain, ciliary (circumcorneal) congestion and small pupil (meiosis) are seen in acute anterior uveitis. There is watery discharge (not mucopurulent).
Mucopurulent discharge is seen in acute conjunctivitis, an important differential diagnosis of acute anterior uveitis.